All of the following are used for induction of labour,EXCEPT:
1. PG F2 α tablet
2. PG E1 tablet
3. PG E2 gel
4. Misoprostol

Correct answer: 1. PG F2 α tablet